Which of the following statements is FALSE about reactive arthritis?
1. Most common among young men
2. Linked to HLA-B27
3. Painful asymmetric oligoarthritis is a feature
4. Migratory polyarthritis

Correct answer: 4. Migratory polyarthritis

Explanation: Reactive arthritis is most common among young men (except after Yersinia infection) and has been linked to the HLA-B27 locus as a potential genetic predisposing factor. Patients report painful, asymmetric oligoarthritis that affects mainly the knees, ankles, and feet. Low-back pain is common, and radiographic evidence of sacroiliitis is found in patients with long-standing disease. Most patients recover within 6 months, but prolonged recurrent disease is more common in cases that follow chlamydial urethritis. Migratory polyarthritis and fever constitute the usual presentation of acute rheumatic fever in adults. This presentation is distinct from that of post-streptococcal reactive arthritis, which also follows infections with group A Streptococcus but is not migratory, lasts beyond the typical 3-week maximum of acute rheumatic fever, and responds poorly to aspirin. Ref: Madoff L.C. (2012). Chapter 334. Infectious Arthritis. In D.L. Longo, A.S. Fauci, D.L. Kasper, S.L. Hauser, J.L. Jameson, J. Loscalzo (Eds), Harrison's Principles of Internal Medicine, 18e.